A six year old child presented with a valgus deformity at his right elbow since 3 years that is gradually progressive.He has history of cast applied for 6 weeks after fall on outstretched hand 3 years back. The probable fracture was -
1. Malunited Lateral Condylar fracture of Humerus
2. Malunited Supracondylar Fracture of Humerus
3. Posterior dislocation of elbow
4. Fracture medial condyle of humerus

Correct answer: 1. Malunited Lateral Condylar fracture of Humerus

Explanation: Answer- A. Malunited Lateral Condylar fracture of HumerusFractures commonly showing cubitus valgus deformity due to malunionFracture lateral condyle humerusMonteggia Fracture Dislocation